All of the following structures are involved in Weber syndrome EXCEPT
1. Oculomotor nerve roots
2. Corticobulbar tracts
3. Cerebellar peduncles
4. Corticospinal tract

Correct answer: 3. Cerebellar peduncles

Explanation: Weber syndrome is a lesion of the anterior midbrain at the level of superior colliculus involves: Oculomotor nerve Ipsilateral downward & laterally deviated eye Substantia nigra Contralateral parkinsonism Corticobulbar fibers Corticospinal tract